A lady presented with creamy white or slightly green vaginal discharge, drug of choice is :
1. Doxycycline
2. Ofloxacin
3. Metronidazole
4. Clindamycin

Correct answer: 3. Metronidazole

Explanation: Symptoms are suggestive of trichomoniasis : Metronidazole 200mg by mouth 3 times a day for 7 days prescribed for both partners,and adviced to abstain from intercourse or use condomduring therapy. It is best taken after meals othervise nausea and vomiting can occur. SHAW'S TEXTBOOK OF GYNECOLOGY,Pg no:146,15th edition